Pre-B cells and B cells are produced in ?
1. Bone marrow
2. Thymus
3. Tonsils
4. Gut associated lymphoid tissue

Correct answer: 1. Bone marrow

Explanation: Ans. is 'a' i.e., Bone marrow